"Today" sponge contains which of the following:
1. Nonoxynol
2. Deflon
3. Femshield
4. Desogestrel

Correct answer: 1. Nonoxynol

Explanation: Nonoxynol